To see the bacteria, methods used are -
1. Microscopy
2. Stained preparations
3. Both
4. None

Correct answer: 3. Both

Explanation: Individual bacterial cells hard to see because


They are too small to be seen by naked eye.
They are almost transparent


So, to be seen they require-


Magnification under microscope
Staining techniques to produce contrast